Maxillary first molar has how many roots?
1. 1 facial and 2 lingual
2. 1 lingual and 2 facial
3. 1 mesial and 2 buccal
4. 1 mesial and 1 distal

Correct answer: 2. 1 lingual and 2 facial